Paradoxical splitting of S 2 is seen in ?
1. ASD
2. Mitral stenosis
3. Severe pulmonary stenosis
4. Severe aortic stenosis

Correct answer: 4. Severe aortic stenosis

Explanation: As AS increases in severity, LV systole may become prolonged so that the aortic valve closure sound no longer precedes the pulmonic valve closure sound, and the two components may become synchronous, or aortic valve closure may even follow pulmonic valve closure, causing paradoxical splitting of S 2 ( Harrison's principle of internal medicine,18th edition,pg no. 1939)